Flea bitten kidney is seen in all of the following except:
1. Malignant hypertension
2. Henoch-Schonlein purpura
3. DM
4. Polyarteritis nodosa

Correct answer: 3. DM

Explanation: Ans. C: DM Diseases such as microscopic polyarteritis, accelerated hypertension and Henoch-Schonlein purpura (and other disorders in which there is destruction of small vessel walls) produce microinfarcts, which are usually multiple ('flea-bitten kidney').